Motor aphasia refers to defect in :
1. Peripheral speech apparatus
2. Verbal expression
3. Auditory comprehension
4. Verbal comprehension

Correct answer: 2. Verbal expression

Explanation: B i.e. Verbal expressionMotor aphasia also known as expressive aphasiaQ is a disorder of thought and word finding (formation) resulting in inadequate verbal expressionQ.Lesion siteQInferior frontal gyrusQ or Broca's area (Area 44)immediately anterior to primary motor cortex & abovesyln fissure.Caused/t occlusion of superior branch of middle cerebralarteryQComprehensionPreserved (except grammer)(2FluencyDecreasedQ: Speech is not fluent, laboured, dysarthric &interrupted with many word finding pauseQ. It istelegraphic but informative.In wernicke's area (supramarginal gysus) of theparietal lobe & upper part of temporal lobe.d/t occlusion of inferior division of middlecerebral arteryQ.Impaired(2Preserved or increased: Speech fluent but highlyparaphasic & associated with neologism (Jargonaphasia)QNamineImpairedRepetitionsImpairedNeologismsAbsentInsightInsight into condition is preserved